Orbital mucormycosis is a complication of
1. AIDS
2. Steroid therapy
3. Cushing's disease
4. Diabetic ketoacidosis

Correct answer: 4. Diabetic ketoacidosis

Explanation: Orbital mucormycosis is caused by Mucor and Rhizopus. The lesions are especially common in patients with diabetic ketoacidosis. Ref: Textbook of Microbiology, Ananthanarayan and Paniker; 9th edition